Population covered by PHC in a tribal area:
1. 20,000
2. 30,000
3. 40,000
4. 50,000

Correct answer: 1. 20,000

Explanation: Ans. A: 20,000 Population covered by PHC in hilly/tribal areas is 20,000. Primary Health Centers They are the cornerstone of rural health services- a first port of call to a qualified doctor of the public sector in rural areas for the sick and those who directly report or referred from Sub-centers for curative, preventive and promotive health care. A typical Primary Health Center covers a population of 20,000 in hilly, tribal, or difficult areas and 30,000 populations in plain areas with 4-6 indoor/observation beds. It acts as a referral unit for 6 sub-centers and refer out cases to CHC (30 bedded hospital) and higher order public hospitals located at sub-district and district level. Objectives of Indian Public Health Standards (IPHS) for Primary Health Centers: The overall objective of IPHS is to provide health care that is quality oriented and sensitive to the needs of the community. The objectives of IPHS for PHCs are: - To provide comprehensive primary health care to the community through the Primary Health Centers. - To achieve and maintain an acceptable standard of quality of care. - To make the services more responsive and sensitive to the needs of the community. Minimum Requirements (Assured Services) at the Primary Health Center for meeting the IPHS: Assured services cover all the essential elements of preventive, promotive, curative and rehabilitative primary health care. This implies a wide range of services that include: Medical care: Maternal and Child Health Care including family planning Medical Termination of Pregnancies using Manual Vacuum Aspiration (MVA) technique. (wherever trained personnel and facility exists) Management of Reproductive Tract Infections/Sexually Transmitted Infections Nutrition Services (coordinated with ICDS) School Health Adolescent Health Care Promotion of Safe Drinking Water and Basic Sanitation Prevention and control of locally endemic diseases like malaria, Kalaazar, Japanese Encephalitis, etc. Disease Surveillance and Control of Epidemics: Collection and reporting of vital events Education about health/Behaviour Change Communication (BCC) National Health Programmes including Reproductive and Child Health Programme (RCH), HIV/AIDS control programme, Non communicable disease control programme - as relevant: Referral Services: Training Basic Laboratory Services Monitoring and Supervision: AYUSH services as per local people's preference (Mainstreaming of AYUSH) Rehabilitation Selected Surgical Procedures R.-cord of Vital Events and Reporting.